A 24-year-old lady presented with sudden onset chest pain , palpitations lasting for about 20 minutes. She says there were 3 similar episodes in the past. All the investigations were normal. What is the likely diagnosis?
1. Acute psychosis
2. Panic attack
3. Post-traumatic stress disorder
4. Mania

Correct answer: 2. Panic attack

Explanation: Panic Attack: - It is an acute attack of intense anxiety with a "feeling of impending Doom" and Patient feels he is about die or he feels he is having a heart attack or he feels he is about to go crazy or he feels he will loose control. Panic Disorders: - Recurrent & unexpected panic attacks Anticipatory anxiety in between the attacks